Conjugate vaccines are available for the prevention of invasive disease caused by all of the following except -
1. H influenzae
2. Strep pneumoniae
3. N. meningitidis (group C)
4. N. meningitidis (group B)

Correct answer: 4. N. meningitidis (group B)